In a case of dysfunctional uterine bleeding thehormone which is usually deficient is :
1. Oestrogen
2. Progesterone
3. Thyroxin
4. A.C.T.H.

Correct answer: 2. Progesterone

Explanation: Progesterone